The children hospital eastern ontario pain scale (cheops) for rating postoperative pain in children under one year eludes all, EXCEPT:
1. Cry
2. Verbal response
3. Torso
4. Oxygen saturation

Correct answer: 4. Oxygen saturation

Explanation: For the evaluation of postoperative pain, the Children's Hospital of Eastern Ontario Pain Scale (CHEOPS) and the Objective Pain Scale grade behavioral manifestations of pain. The CHEOPS assesses six categories in response to the surgical wound, Cry Facial expression Verbal response Torso position Leg activity Arm movement Ref: Smith's Anesthesia for Infants and Children: Expert Consult Premium By Peter J. Davis, Franklyn P. Cladis, Etsuro K. Motoyama, 2010, Chapter 13.